Which drug given for painful tingling of diabetic neuropathy?
1. Gabapentin
2. Duloxetine
3. Pregablin
4. All of them

Correct answer: 4. All of them

Explanation: ANSWER: (D) All of themREF: Harrison's 17th ed chapter -338Chronic, painful diabetic neuropathy is difficult to treat but may respond to;Antidepressants (tricyclic antidepressants such as amitriptyline, desipramine, nortriptyline, imipramine)Selective serotonin norepinephrine reuptake inhibitors such as duloxetineAnticonvulsants (gabapentin, pregabalin, carbamazepine, lamotrigine)